A woman is exposed to chickenpox at 12 weeks pregnancy weeks. She does not give a history of having had the disease previously.What is the best management option if she does not have antibodies against varicella zoster virus?
1. Give varicella zoster vaccine as soon as possible after exposure
2. Administer varicella zoster immunoglobulin as soon as possible after exposure
3. Termination of pregnancy
4. Treatment with oral acyclovir if infection occurs

Correct answer: 2. Administer varicella zoster immunoglobulin as soon as possible after exposure

Explanation: Ans. is b, i.e. Administer varicella zoster immunoglobulin as soon as possible after exposure.The best management option is to prevent her from infection. Therefore, if the mother is found to be non-immune after testing for antibodies, varicella zoster immunology should be given as soon as possible after exposure. The vaccine cannot be given in pregnancy as it is a live attenuated vaccine. Termination of the pregnancy is not indicated because fetal varicella syndrome is not common. Acyclovir is used for treating infection.